A patient with unfavourable fracture of the angle of mandible is best treated by:
1. Closed reduction with IMF
2. Closed reduction with cap splint
3. Open reduction with bone plate fixation
4. Circum mandibular wiring

Correct answer: 3. Open reduction with bone plate fixation